Oxyntic cells are found in -
1. Small intestine
2. Large intestine
3. Esophagus
4. Stomach

Correct answer: 4. Stomach

Explanation: Ans. is 'd' i.e., StomachHistological features of stomacho Mucosa is thrown into temporary longitudinal folds rugae, which disappear when stomach is distended.o Lining epithelium is simple columnar epithelium with small irregular gastric pits. Several long, tubular gastric glands open in gastric pitso Gastric glands are divided into three groupsi) Pyloric glands :# In these glands mucus secreting cells predominate. These glands also contain neuroendocrine G cells (secreting gastrin) and cells which secret lysozyme. Parietal cells are few and chief cells are absent.ii) Cardiac glands :# These glands mainly contain mucus secreting cells. Chief and parietal cells are sparse.iii) Principal (main) glands :# These glands are found in body and fundus. These glands contain mainy chief (peptic or zymogen) cells and parietal (oxyntic) cells. These glands also contain mucous neck cells, stem cells and enteroendocrine cells (argentaffin cells).